Treatment of choice in intracran al ALL is:
1. A. Intrathecal methotrexate
2. Vincristine and prednisolone
3. Intrathecal vincristine
4. Prednisolone

Correct answer: 1. A. Intrathecal methotrexate

Explanation: Answer is A (Intrathecal methotrexate) Intrathecal ,methotrexate is the chemotherapy of choice for intracranial manifestation of Acute Leukemia Treatment of choice for intracranial ALL Combination of intrathecal methotrexate and cranial irradiation. Agents used for Intrathecal chemotherapy Methotrexate Cytarabine Thiotepa Note: Intrathecal Cytarabine may be as effective as intrathecal methotrexate